HUS is caused by:
1. EIEC
2. EPEC
3. ETEC
4. EHEC

Correct answer: 4. EHEC

Explanation: Ans. (d) EH ECRef: Ananthanaryan 8,h Ed. / 276 & 277* Hemoltic uremic syndrome (HUS) is a type 3 hypersensitivity reaction associated with small vessel vasculitis.* Organisms causing HUS is E.Coli (particularly EHEC) and shigella dysentriae.